The contraindication to internal fixation -
1. Physeal injury
2. Active infection
3. Intraarticular fracture
4. Fracture dislocation

Correct answer: 2. Active infection

Explanation: Ans. is 'b' i.e., Active infection o Contraindications to internal fixation include active or suspected infection, compramised soft tissues overlying the fracture, medical or surgical conditions that contraindicate aneshthesia (e.g. recent Ml) and sever, irreparable neurovascular injury (amputation is better).